Drug-induced colitis is most frequently associated with:
1. Neomycin
2. Vancomyc in
3. Clindamycin
4. Chloramphenicol

Correct answer: 3. Clindamycin

Explanation: Ans. c. Clindamycin